The total duration of pregnancy is :
1. 270 days
2. 280 days
3. 290 days
4. 276 days

Correct answer: 2. 280 days

Explanation: 280 days